Drug of choice for Narcolepsy
1. Modafinil
2. Sildenafil
3. Disulfiram
4. Dexemedotimidine

Correct answer: 1. Modafinil

Explanation: Modafinil is a wakefullness promoting drug,used in the treatment of Narcolepsy.